Enucleation means -
1. Removal of the contents of globe
2. Removal of the contents of globe and sclera except a frill around the optic nerve
3. Removal of entire globe along with portion of optic nerve
4. Removal of the entire contents of orbit

Correct answer: 3. Removal of entire globe along with portion of optic nerve

Explanation: There are three main surgical techniques by which all or part of the orbital contents are removed :-


Evisceration: - Removal of the eye with its inner two coats, leaving behind the sclera and extraocular muscles.
Enucleation: - Removal of eyeball with a portion of optic nerve from the orbit while preserving all other orbital structures.
Exenteration: - It is the most radical of the three procedures and involves removal of the eye, adnexa and part of the bony orbit.